"Epiglottitis" is mainly caused by:
1. Streptococcus
2. Staphylococcus
3. Haemophilus
4. Mycoplasma

Correct answer: 3. Haemophilus

Explanation: Haemophilus